Which of the following is not seen in Meniere's disease?
1. Vertigo
2. Tinnitus
3. Conductive deafness
4. Sensorineural hearing loss

Correct answer: 3. Conductive deafness

Explanation: Ans: C (Conductive deafness) Ref: Diseases of the Ear Nose and Throat by PL Dh ingra. 5th edn .2010.Page 112Explanation:Main pathology in Meniere's disease is distension of the endolymphatic systemThe cochlear duct and Saccule are affected more than the utricle and semicircular canalsCardinal symptoms are1. Vertigo - episodicAttacks are in clusters and associated with nausea, vomiting , ataxia and nystagmusThere are periods of spontaneous remissions lasting weeks , months or even years2. Hearing loss - accompanies or precedes vertigoImproves after attack, with each attack the hearing loss will add up and gradually the hearing will worsen3. Tinnitus - low pitched roaring typeIncreases during acute attack4. Aural fullness - also fluctuatingMay accompany or precede an attack